Pain, temperature, touch from pulp are carried by which one of the following type nerve fibres?
1. A alpha
2. A beta
3. A delta
4. Fibres

Correct answer: 3. A delta